16 year old female presents with primary amenorrhoea with B/L inguinal hernia. She has normal sexual development with no pubic hair. USG shows no uterus and ovaries and a blind vagina. Diagnosis is :
1. Turner's syndrome
2. Mullerian agenesis
3. STAR syndrome
4. Androgen insensitivity syndrome

Correct answer: 4. Androgen insensitivity syndrome

Explanation: Ans. is d i.e. Androgen insensitivity syndrome